Most common agent associated with agranulocytosis is:
1. Steroids
2. Alkylating agents
3. Paracetamol
4. Endotoxemia

Correct answer: 2. Alkylating agents

Explanation: Ans. b. Alkylating agentsRef: Harrison 19th e/P 417Most common cause of agranulocytosis is iatrogenic, i.e. drug induced.Most common drugs causing agranulocytosis are anticancer drugs which inhibit cell cycle like alkylating agents and antimetabolites like methotrexate, 5-FU and 6-MP.